Cause of fragmented RBC in peripheral blood -a) Microangiopathic hemolytic anemiab) D.I.C.c) Hemophilia - Ad) Malignant hypertensione) HELLP syndrome
1. abde
2. bcde
3. acde
4. ade

Correct answer: 1. abde

Explanation: Schistocytosis (fragmented RBCs) are found in microangiopathic haemolytic anemia.
DIC, malignant hypertension and HELLP syndrome can cause microangiopathic hemolytic anemia.